The poisoning causes by bullet retained inside the body is
1. Iron
2. Phosphorus
3. Nitro cellulose
4. Lead

Correct answer: 4. Lead

Explanation: Souvenir Bullets are present for a long time in the body so lead poisoning usually associated with Souvenir bullets. A dense fibrous tissue capsule usually surrounds it. Lead poisoning may occur due to absorption of lead from lead bullets remaining in a body. Synovial fluid is capable of dissolving lead.